All of the following degradation product of Glycine except
1. Serine
2. Oxalates
3. Pyruvates
4. Ornithine

Correct answer: 4. Ornithine

Explanation: Glycine undergoes oxidative deamination by glycine synthase to librate NH4+, COm and one carbon fragment as N5, N10- methylene THF. This provides a major route of glycine break down.Glycine is reversibly converted to Serin by THF dependent serine hydroxymethyltransferase. Pyruvate produced from serine by serine dehydratase. Serine is degraded to glyoxylate. Glycine is also converted to oxalate, an excretory product.Ref: Biochemistry, U. Satyanarayana, Fourth edition, page no: 342